Egg shell calcification of Hilar Lymphnode is associated with
1. Silicosis
2. Asbestosis
3. Byssinosis
4. Anthracosis

Correct answer: 1. Silicosis